Drug used in RSV infection in children-
1. Rituximab
2. Palivizumab
3. Penicillin
4. None of the above

Correct answer: 2. Palivizumab